Which of the following is not a risk factor for CA cervix?
1. Low parity
2. Multiple sexual partner
3. Early sexual intercourse (<16 years)
4. Smoking

Correct answer: 1. Low parity

Explanation: Ans. is a, i.e. Low parityFactors Predisposing to CIN/Ca cervix:* Human Papilloma virus infection* Sexually transmitted infections:- Coitus before 18 years of ageQ- Multiple sex partnersQ- MultiparityQ- Poor personal hygieneQ- Poor socioeconomic statusQ* SmokingQ* Immunosuppressed individualsQ* Women on OCPQ, Progesterone therapy for long time are predisposed to adenocarcinoma of endocervix.* In utero exposure to DES"HPV is central to the development of cervical neoplasia. HPV - DNA is found in 95% of all squamous cell carcinoma & 90% of all adenocarcinomas."